Chemical process involved in conversion of nor-adrenaline to adrenaline ?
1. Hydroxylation
2. Carboxylatio
3. Methylation
4. Dehydrogenatio

Correct answer: 3. Methylation

Explanation: Ans. is `c' i.e., Methylation